Wechsler test is a test for
1. Memory
2. Orientation
3. Speech
4. Intelligence

Correct answer: 4. Intelligence

Explanation: Wechsler Intelligence Scales are a series of standardized tests used to evaluate cognitive abilities and intellectual abilities in children and adults. Purpose: Wechsler Intelligence Scales for Children and Wechsler Preschool and Primary Scale of Intelligence are used as tools in school placement, in determining the presence of a learning disability or a developmental delay, in identifying giftedness, and in tracking intellectual development. Wechsler Adult Intelligence Scales (regular and revised) are used to determine vocational ability, to assess adult intellectual ability in the classroom, and to determine organic deficits. Both adult and children's Wechsler scales are often included in neuropsychological testing to assess the brain function of individuals with neurological impairments.